Lendrum stain is used for detecting
1. Air embolism
2. Fat embolism
3. Amniotic fluid embolism
4. Pulmonary embolism

Correct answer: 3. Amniotic fluid embolism

Explanation: Lendrum's stain (Phloxine-Tarazine): This stain is used to detect amniotic fluid embolism deathsRef: the essentials of forensic medicine & toxicology-Dr.K.S.Narayana reddy 32nd edition pg no390-391